Adenosine is used in
1. Atrial flutter
2. Atrial fibrillation
3. PSVT
4. Ventricular tachycardia

Correct answer: 3. PSVT

Explanation: Acute management of narrow QRS PSVT is guided by the clinical presentation. Continuous ECG monitoring should be implemented.For stable individuals, initial therapy takes advantage of the fact that most PSVTs are dependent on AV nodal conduction (AV nodal reentry or orthodromic AV reentry) and therefore likely to respond to sympatholytic and vagotonic maneuvers and drugs (IV adenosine)Harrison 19e pg: 1483